Chemoprophylaxis in cholera -
1. Tetracycline
2. Ciprofloxacin
3. Erytromycin
4. None

Correct answer: 1. Tetracycline

Explanation: Ans. is 'a' i.e., Tetracycline o Tetracycline is the drug of choice for chemoprophylaxis.InfectionChemoprophylaxis (DOC) InfectionChemoprophylaxis (DOC)o Cholera-TetracyclineMeningococci-Rifampicin (sulfadiazineo Plague-Tetracycline -if strain is sensitive)o P.carinii-CotrimoxazoleDiphtheria-Erythromycino Whooping cough-ErythromycinBacterial conjuctivits-Erythromycin ointmento Toxoplasmosis-CotrimoxazoleTB-INHo Influenza-AmantadineMAC-Ciarithromycin/Azithromycino Rickettsia-TetracyclinesMalaria-Chloroquineo Bird flu-Oseltamivir - o Gonorrhoes/syphilis-Procaine penicillin -